Which muscle is responsible for sitting to standing position?
1. Gluteus medius
2. Gluteus maximus
3. Gluteus minimus
4. Tensor fascia lata

Correct answer: 2. Gluteus maximus

Explanation: Ans. B Gluteus maximusRef: Grays Anatomy, 41st ed. pg. 1318The muscles of the gluteal region include:* Three named gluteal muscles and* The deeper short lateral rotators of the hip jointGluteus maximus lies most superficially* Origin: Iliac, sacrum and coccyx* Insertion: Gluteal tuberosity, iliotibial band* Function: It is a powerful extensor of the hip joint, acting more often to extend the trunk on the femur than to extend the limb on the trunk.* Therefore used for changing position from sitting to standing.Gluteus medius and minimus* Attachment: Proximally to the outer surface of the ilium and distally to the greater trochanter of the femur* Function:# They are abductors of the hip;# Their most important action is to stabilize the pelvis on the femur during locomotion, and they are helped in this function by tensor fasciae latae.